All muscles are useful in Supination and Pronation of Hand EXCEPT
1. Anconeus
2. Brachio-radialis
3. Supinator
4. Biceps brachii

Correct answer: 1. Anconeus

Explanation: (A) Anconeus # Supination & Pronation are rotatory movements of forearm (and hand) around a vertical axis.> In a semiflexed elbow, the palm is turned upwards in supination, and downwards in pronation Remember: Kings pronate, Beggars supinate> The movements are permitted at the superior and inferior radioulnar joints, there is no middle radioulnar joint, and so no role. The radius is pronated by the pronator teres and pronator quadratus muscles. Pronation is performed by pronator quadratus and pronator teres muscle. Brachioradialis puts the forearm into a midpronated/supinated position from either full pronation or supination. Hand is supinated by the brachioradialis, supinator (brevis), and biceps muscles. The hand is supine in the anatomical position (i.e., palms facing up during autopsy).This action is performed by the Biceps brachii and the Supinator muscle